Which is the first permanent tooth to erupt
1. 1st Molar
2. Premolar
3. Lateral incisor
4. Central incisor

Correct answer: 1. 1st Molar

Explanation: Period of eruption of permanent teeth First molar 6-7 years Medial incisors 7-8 years Lateral incisors 8-9 years First premolar 9-10 years Second premolar 10-11 years Canines 11-12 years Second molar 12-14 years Third molar 17-25 years Ref: FORENSIC MEDICINE AND TOXICOLOGY Dr. PC IGNATIUS PAGE NO 70